All are features of Silico-tuberculosis except
1. High sputum AFB +ve
2. Children of such cases do not get disease
3. Impairement of total lung
4. Nodular fibrosis

Correct answer: 1. High sputum AFB +ve

Explanation: In recent years doubts have risen in the association between silicois and tuberculosis as:

Sputum is rarely AfB+
Children and women of sts do not develop tuberculosis
Post mortem of sts fail to prove existence of tuberculosis
Radilogical evidence of both conditions is similar.